Commonest site of carcinoma tongue -
1. Apical
2. Lateral borders
3. Dorsum
4. Posterior 1/3

Correct answer: 2. Lateral borders

Explanation: Ans. is 'b' i.e., Lateral borders Most common site is middle of the lateral border or the ventral aspect of the tongue.